Functioning of a pace maker can be affected by which of the following?
1. Piezoelectric ultrasonic scaler
2. Magnetostrictive ultrasonic scaler
3. Sonic scalers
4. All the above

Correct answer: 2. Magnetostrictive ultrasonic scaler